Aniseikonia means:
1. Difference in the axial length of the eyeballs
2. Difference in the size of corneas
3. Difference in the size of pupils
4. Difference in the size of images formed by the two eyes.

Correct answer: 4. Difference in the size of images formed by the two eyes.

Explanation: D i.e. Difference in the size of images formed by the two eyes Condition Defined as Aniseikonia (upto 5% is well tolerated) The images projected to the visual cortex from the two retina are abnormally unequal in size or shape i.e. difference in the image size Q Anisometropia Difference in the refraction of two eyes 0 Anisocoria Difference in the pupil size in two eyes Q